Lathyrism results due to -
1. Aflatoxin
2. BOAA
3. Pyruvic acid
4. Sanguinarine

Correct answer: 2. BOAA

Explanation: Ans. is 'b' i.e., BOAA o Lathyrism is caused by lathyrus sativus, commonly known as "Khesari dhal"o The toxin present in lathyrus seeds has been identified as Beta oxalyl aminoalanine (BOAA).